Which of the following have greatest concentration of osteogenic cells:
1. Marrow- cancellous graft.
2. Marrow- cortical graft.
3. Costochondral graft.
4. Cortical graft

Correct answer: 1. Marrow- cancellous graft.